Investigation of choice in Diabetic mother with a doubtful abnormal fetus :
1. Sonography
2. Glycosylated haemoglobin
3. Amniocentesis
4. Chorionic villi biopsy

Correct answer: 1. Sonography

Explanation: Sonography